All are used in AIDS except -
1. Zidovudine
2. Stavudine
3. Ribavarin
4. Lamivudine

Correct answer: 3. Ribavarin